Which of the following is not an indication of Amniocentesis for Chromosomal detection :
1. Diabetes mellitus
2. Previous Down's child
3. Maternal age more than 35
4. Parents with Chromosomal anomaly

Correct answer: 1. Diabetes mellitus

Explanation: Diabetes mellitus